Ocular manifestations of vitamin D deficiency include:
1. Zonular cataract
2. Papilloedema
3. Increased lacrimation
4. All of the above

Correct answer: 4. All of the above

Explanation: Ans. All of the above